Intumescent cataract is associated with which type of glaucoma:
1. Phacolytic glaucoma
2. Phacomorphinc glaucoma
3. Phacotopic glaucoma
4. Pseudophakic glaucoma

Correct answer: 2. Phacomorphinc glaucoma

Explanation: Ans. B: Phacomorphinc glaucoma Increase in the water content and alteration in the protein structure causes lens opacification. People with cortical cataracts experience glare from oncoming car headlights which can incapacitate them leading on to what is known as "nonocular diplopia" - seeing a single object double with the affected eye, the other eye being closed. As the lens continues to take up water it may swell and become an intumescent cataract, still later it forms a total white opacity called mature cataract and finally become Hypermature cataract. The proteins leak out leaving behind a shrunken -Posterior subcapsular cataract - Patients develop a greater decrease in near vision than distant vision. Phacolytic glaucoma is associated with a damaged lens/if lens protein from a hypermature cataract escape into the aqueous. Phacomorphinc glaucoma occurs when the swollen lens (intumescent stage) obliterates the drainage angle by forcing the root of the iris against the cornea. Phacotopic glaucoma is seen when a partial subluxation/ complete dislocation of lens blocks the angle of drainage.